A pt presents with engorged neck veins, BP 80/50 and pulse rate of 100 following blunt trauma to the chest: Diagnosis is
1. Pneumothorax
2. Right ventricular failure
3. Cardiac tamponade
4. Hemothorax

Correct answer: 3. Cardiac tamponade

Explanation: The accumulation of fluid in the pericardial space in the quantity sufficient to cause serious obstruction to inflow of blood into ventricles results in cardiac tamponade. The three principal features of cardiac tamponade termed as BECK'S TRIAD. Hypotension Absent or muffled heart sounds Elevated JVP with prominent x descent but absent y descent. The important clue to presence of cardiac tamponade consists of greater than normal(10mmHg) inspiratory decline in systolic blood pressure termed as PARADOXICAL PULSE. Ref Harrison 20th Ed pg 1445